Perforated corneal ulcer gives rise to:
1. Anterior capsular cataract
2. Posterior subcapsular cataract
3. Vossius ring
4. Rosette shaped cataract

Correct answer: 1. Anterior capsular cataract

Explanation: Ans. A i.e. Anterior capsular cataract